Nalgonda Technique for defluoridation of water does not include addition of?
1. Line
2. Alum
3. Bleaching powder
4. Barium sulfate

Correct answer: 4. Barium sulfate

Explanation: Nalgonda Technique involves addition of

Lime
Alum
Bleaching powder